A 16-year-old girl is in your office for a preparticipation sports examination. She plans to play soccer in the fall, and needs her form filled out. Which of the following history or physical examination findings is usually considered a contraindication to playing contact sports?
1. Congenital heart disease, repaired
2. Obesity
3. Absence of a single ovary
4. Absence of a single eye

Correct answer: 4. Absence of a single eye

Explanation: The preparticipation sports physical examination is important in that it allows the physician to screen patients for potential risks associated with the sport they intend to play. That said, there are few real contraindications to sports participation. Having one eye is typically seen as a contraindication to playing contact sports like football or soccer. There are eye shields available, but in general these children are advised to avoid contact sports. Stable, repaired congenital heart disease; obesity; girls with a single ovary; and controlled diabetics are routinely allowed to participate. Other reasons to recommend against contact sports participation include hemophilia, single kidney, and unexplained syncope (until evaluated).